The most rapidly bactericidal drug for M-Leprae is-
1. Dapsone
2. Clofazimine
3. Ethionamide
4. Rifampicin

Correct answer: 4. Rifampicin